Which of the following conditions is not considered
as premalignant
1. Erosive lichen planus
2. Syphilitic glossitis
3. Leukoedema
4. Leukoplakia

Correct answer: 3. Leukoedema